Which is the commonest cause of occular morbidity in the community
1. Cataract
2. Refractive error
3. Occular injury
4. Vitamin A deficiency

Correct answer: 2. Refractive error

Explanation: B i.e. Refractory Error